Phantom limb sensations are best described by:
1. Weber Fechner law
2. Power law
3. Bell-Magendie law
4. Law of projection

Correct answer: 4. Law of projection

Explanation: D i.e. Law of projection